Which is true about Multiple Myeloma?
1. M spike increase
2. Direct plasma cell deposition in glomerular capillaries leads to kidney damage
3. IL 8 is a marker for bone lesions
4. Invariablly increase in alkaline Phosphatase

Correct answer: 1. M spike increase